Five day self limting pain is due to
1. Internal hemorrhoids
2. External hemorrhoids
3. Fistula in ano
4. Fissure in ano

Correct answer: 2. External hemorrhoids

Explanation: External hemorrhoids which are painful the pain reduces after 5 days.